A 50-year-old chronic smoker presents with history of major depressive disorder and ischaemic heart disease. He has not received any psychiatric treatment. Which of the following medications is the best option to help him to quit smoking?
1. Bupropion
2. Naltrexone
3. Sertraline
4. Nicotine replacement therapy

Correct answer: 1. Bupropion

Explanation: Bupoprion : NDRI Uses: Used most commonly for the management of Major Depressive Disorder (MDD), Seasonal Affective Disorder (SAD), and as an aid for smoking cessation. Effects: Insomnia Seizures: Bupropion is contraindicated in eating disorder patients who also purge because it can lower the seizure threshold Sweating Few adverse sexual effects Clinical use: Smoking cessation Major depressive disorder with seasonal pattern SSRI-induced sexual dysfunction Adult ADHD Obesit It is the best option in this case as it can overcome both depression and smoking.